The least common type of intussuception is
1. Multiple
2. Colocolic
3. Ileoileal
4. Ileoilecolic

Correct answer: 1. Multiple

Explanation: Ans. is 'a' i.e., Multiple